External hemorrhoids below the dentate line are -
1. Painful
2. Ligation is done as management
3. Skin tag is not seen in these cases
4. May turn malignant

Correct answer: 1. Painful